Thyroid tumor with best prognosis:
1. Papillary
2. Follicular
3. Anaplastic
4. Medullary

Correct answer: 1. Papillary

Explanation: Ans. (a) PapillaryRef: Bailey & Love 26th ed. / 765-66THYROID MALIGNANCYPoints to Remember* Papillary carcinoma thyroid (PTC) has excellent prognosis (lOyr survival rate >90%)* MC type- Papillary Thyroid CA (PTC)* Among people exposed to external radiation-PTC* Lateral abberent thyroid- PTC* Psammoma bodies-PTC* Orphan annie nuclei-PTC* Intranuclear inclusion/pseudo inclusion-PTC* Most reliable feature for PTC diagnosis- nuclear feature i.e orphan annie nuclei.# Intranuclear inclusion/pseudo inclusion* Diagnosis by -FNAC* Treatment: Total or near total thyroidectomy* Most common thyroid cancer in iodine sufficient persons - PTC